Locomtor ataxia a late manifestation of syphilis due to parenchymatous involvement of the spinal cord is called
1. General paralysis of insane
2. Tabes dorsalis
3. Meningo vascular syphilis
4. Syphilitic amyotraphy

Correct answer: 2. Tabes dorsalis

Explanation: Refer Robbins page no Pg 1275 It is the damage to the sensory axons in the dorsal roots.This causes impaired joint position sense and ataxia ,loss of pain sensation leading to the skin and joint damage